In which of the following weapons, empty cartridge case is ejected after firing
1. Shotgun
2. Revolver
3. Pistol
4. Rifle

Correct answer: 3. Pistol

Explanation: C i.e. Pistol